To which of the following family of chemical mediators of inflammation, the Lipoxins belong?
1. Kinin system
2. Cytokines
3. Chemokines
4. Arachidonic acid metabolites

Correct answer: 4. Arachidonic acid metabolites

Explanation: Lipoxins are a recent addition to the family of bioactive products generated from arachidonic acid. They have antiinflammatory activity (explained in text).